In adults, the spinal cord normally ends at-
1. Lower border of Ll
2. Lower border of L3
3. Lower border of S1
4. Lower border of L5

Correct answer: 1. Lower border of Ll

Explanation: Spinal cord begins at foramen magnum and, in adults, ends at lower border of L1.